Treatment of contaminated wound in Gas Gangrene isa) Debridement of woundb) Systemic penicillinc) Metronidazole Administrationd) Peroxide dressings
1. ac
2. ab
3. ad
4. bc

Correct answer: 2. ab